Most common mutation in haemophilia is:
1. Intron 1 inversion
2. Intron 22
3. 619 bp deletion
4. 3.7 bp deletion

Correct answer: 2. Intron 22

Explanation: Genetic abnormalities in haemophilia : Inversions: Intron 22 inversion, Intron 1 inversion Point mutations: Missense mutation, nonsense mutation, frameshift mutation Deletion of part or whole of gene Insertion of repetitive sequences Splicing errors affecting production of mRNA Hemophilia A(factor 8 deficiency) -x linked recessive trait, affects mainly males and homozygous females Hemophilia B - x linked disorder caused by mutations in coagulation Factor 9